The Y chromosome carries a gene on its short arm that codes for
1. Testosterone
2. MIF
3. Testes-determining factor (TDF)
4. Progesterone

Correct answer: 3. Testes-determining factor (TDF)

Explanation: The SRY (sex region Y chromosome) gene present on the short arm of the Y chromosome codes for TDF (Testes Determining Factor). Presence or absence of this chromosome decides whether the fetus will be male or female. Sex determination is not possible till week 6 i.e. why the embryo is called indeterminate embryo till week 6. External sex differentiation completes after week 11. USG sex determination can be done at this time.